In Zollinger Ellison syndrome what is raised-
1. Insulin
2. VIP
3. Gastrin
4. Glucagon

Correct answer: 3. Gastrin

Explanation: Davidson's principles and practice of medicine 22nd edition. *Timor secreted gastrin which stimulated gastrin production to its maximum capacity.